Isolation has a definitive value in all except:
1. Diphtheria
2. Cholera
3. Pneumonic Plague
4. Hepatitis E

Correct answer: 4. Hepatitis E

Explanation: Hepatitis E